A 48 year old male patient comes to the clinic for routine general checkup. He is a known diabetic and is on insulin. On general examination, truncal obesity is seen.
The agent used in the treatment of this patient has all the following actions except:
1. It inhibits the release of FFA from adipose tissue
2. It enhances the uptake of glucose into adipose cells via the GLUT4 transporter
3. In adipose tissue, it inhibits the activity of hormone-sensitive lipase
4. Adipose tissue is less sensitive to it than many other tissues

Correct answer: 4. Adipose tissue is less sensitive to it than many other tissues

Explanation: The rate of release of FFA from adipose tissue is affected by many hormones that influence either the rate of esterification or the rate of lipolysis. Insulin inhibits the release of FFA from adipose tissue, which is followed by a fall in circulating plasma free fatty acids. Insulin also enhances lipogenesis and the synthesis of acyl-glycerol and increases the oxidation of glucose to CO2 via the pentose phosphate pathway. All of these effects are dependent on the presence of glucose and can be explained, to a large extent, on the basis of the ability of insulin to enhance the uptake of glucose into adipose cells via the GLUT-4 transporter. 
Another principal action of insulin in adipose tissue is to inhibit the activity of hormone-sensitive lipase, reducing the release not only of FFA, but also of glycerol. Adipose tissue is much more sensitive to insulin than many other tissues, which points to adipose tissue as a major site of insulin action in vivo.
 
Key Concept:
Adipose tissue is much more sensitive to insulin than many other tissues, which points to adipose tissue as a major site of insulin action in vivo.
Reference: HARPERS ILLUSTRATED BIOCHEMISTRY30th ed Page no 261